What is the most characteristic of congenital hypertrophic pyloric stenosis?
1. Affects the first born female child
2. The pyloric tumor is best felt during feeding
3. The patient is commonly marasmic
4. Loss of appetite occurs early

Correct answer: 2. The pyloric tumor is best felt during feeding

Explanation: Ans. (b) The pyloric tumour is best felt during feedingRef: Sabiston 20th Edition, Page 1869* Baby is not marasmic. It feeds vigorously in between the episodes of vomiting